All the following adverse outcomes are associated with post-term pregnancy except
1. Still birth
2. Shoulder dystocia
3. Polyhydramnios
4. Meconium aspiration

Correct answer: 3. Polyhydramnios

Explanation: Adverse Maternal and Perinatal Outcomes Associated with Postterm PregnancyMaternalPerinatalFetal macrosomiaStillbirthOligohydramniosPostmaturity syndromePreeclampsiaNICU admissionCesarean deliveryMeconium aspirationDystociaNeonatal convulsionsFetal jeopardyHypoxic-ischemic encephalopathyShoulder dystocia Birth injuriesPostpartum haemorrhageChildhood obesityPerineal lacerationsReference: William's Obstetrics; 25th edition; Chapter 43; Postterm pregnancy